All of the following are causes of cicatrizing alopecia except -
1. Lichen planus
2. Discoid lupus erythematosus
3. Alopecia areata
4. Lupus vulgaris

Correct answer: 3. Alopecia areata

Explanation: Causes of cicatricial alopecia: -Discoid lupus erythematosus and morphea - developmental /hereditary : aplasia cutis -traumatic, post radiation -herpes sister,inflammatory tinea capitisand bacterial infections -lichen planopilaris - folliculitis decalvans and dissecting cellulitis of the scalp -pseudopelade of Brocq - neoplastic disorders Ref Harrison20th edition pg 1234